All are indications of lithium except
1. Neutropenia
2. Major Depression
3. Vasculogenic Headache
4. Generalized anxiety disorder

Correct answer: 4. Generalized anxiety disorder

Explanation: Lithium is a drug of its own kind to suppress mania and to exert a prophylactic effect in bipolar manic depressive illness (MDI) at doses which have no overt CNS effects. Ref KD T ripati 8th ed.